Noninfective cause of genital ulcer is -
1. Behcets disease
2. Hansen's disease
3. Ramsons's disease
4. Syphilis

Correct answer: 1. Behcets disease

Explanation: Bechet's disease is characterized by a triad of recurrent oral ulcers (aphthous ulcers), recurrent genital ulcers and uveitis.
Important non-infective causes of genital ulcer are Trauma, Bechet's disease, Stevens-Johnson syndrome and carcinoma.